The Mu receptor of the opioids is responsible for the following clinical actions except -
1. Analgesia
2. Respiratory depression
3. Sedation
4. Diuresis

Correct answer: 4. Diuresis

Explanation: Ans. is 'd' i.e., Diuresis Actions of morphine mediated through u, receptorsPhysical dependenceMiosisConstipationAnalgesia (m2) Mnemonic:Prime Minister CARESRespiratory depressionEuphoriaSedation